Anticholinergic drug useful in treatment of peptic ulcer disease is
1. Cimetidine
2. Misoprostol
3. Omeprazole
4. Pirenzipine

Correct answer: 4. Pirenzipine

Explanation: Peptic Ulcer Disease 1) Drug inhibiting the M1 receptor - Pirenzepine 2) Drug blocking the H2 receptor - Cimetidine - Ranitidine 3) Prostaglandin - Misoprostol - It is chemically PGE1 but work like PGE2 4) Proton pump inhibitors: - Omeprazole - Esomeprazole - Pantoprazole - Lansoprazole - Rabeprazole